False statement regarding trigeminal autonomic cephalgia is:
1. Cluster headache is more common in males
2. SUNCT has highest attack frequency rate
3. Lidocaine is effective in SUNCT
4. Cutaneous trigger is seen in cluster headache

Correct answer: 4. Cutaneous trigger is seen in cluster headache

Explanation: Option D is false as cutaneous trigger is seen in SUNCT and not cluster headache.